True about Transgenic process is - a) Removing DNA from a cellb) Inserting DNA into a cellc) Tumor carcinogenesis can be studiedd) In "Knock out" animals a specific gene is targetted for inducing mutation or inactivation
1. abc
2. bcd
3. ad
4. cd

Correct answer: 2. bcd

Explanation: Transgenic                                                                                                                                                                                          

Describing the introduction of new DNA into germ cells by its injection into the nucleus of the ovum. In this process, one is adding one or more copies of a gene to the genome and there is no way to control where that gene will eventually reside.

Targeted knockin


Introduction of subtle mutation into gene by substitution of the endogenous gene with gene carrying a specific mutation homologous recombination in the embryonic stem cell.


Forward genetics

Mutation created randomly by ENU (N-ethyl-N-nitro urea)

Cloning

Introduction of a nucleus into enucleated eggs (nuclear transfer).